Drug contra-Indicated in bilateral renal artery stenosis
1. Propanolol
2. Guanethidine
3. Captopril
4. Amlodipine

Correct answer: 3. Captopril

Explanation: ACE inhibitors are contraindicated in patients with renal artery stenosis as they can cause renal failure in them. Especially in bilaterl renal artery stenosis Unilateral renal artery stenosis- ACI in usage depends on clinical correlation All the other drugs are safe in renal artery stenosis. Ref: KD tripathi 8th ed. Page no 130